X-rays are produced by:
1. Electrons
2. Neutrons
3. Positrons
4. Protons

Correct answer: 1. Electrons

Explanation: Ans. Electrons